What are the similarities between fissure in ano and achalasia cardia?
1. Smooth muscle involvement
2. Use of Botox
3. Use of nitrates & calcium channel blockers
4. All of the above

Correct answer: 4. All of the above

Explanation: Achalasia cardia Fissure in ano - Absence of relaxation of LES - Spasm of internal anal sphincter - LES - Smooth muscle - IAS - Smooth muscle - Nitrates & CCB'S are used - 0.2 % Nitroglycerin; 2 % Diltiazem local application - Botox injection - | Ach - Relax sphincter -Botox injection - TOC - Laparoscopic Heller's myotomy|Circular fibers divided TOC- Notaras lateral sphincterotomy